Anterior bowing of the posterior maxillary wall is described as
1. Holman miller sign
2. Hennebert sign
3. Holsky sign
4. Honeybell sign

Correct answer: 1. Holman miller sign

Explanation: Anterior bowing of the posterior wall of the maxillary sinus is often called as an antral sign or Holman-Miller sign, which is pathognomic of angiofibroma. Seen in CT scan of the head. Hennebert's sign is a positive fistula sign in the absence of fistula. Seen in congenital syphilis due to the formation of adhesions between stapes footplate and saccule. Also seen in some cases of Meniere's disease. (Ref: Diseases of ear, nose and throat, PL Dhingra, 7th edition, pg no.281)